Guardian of the genes is?
1. Rb
2. p53
3. p16
4. p73

Correct answer: 2. p53

Explanation: Ans. is 'b' i.e., p53 * p53 is a tumor suppressor gene. p53 gene is located on chromosome 17. p53 acts as molecular policeman that prevents the propagation of genetically damage cell.* p-53 is the most common target for genetic alteration in human tumors; A little over 50% of human tumors contain mutation in this gene.(Note - Amongst oncogene RAS is involved most commonly)* The major functional activities of the p53 protein are cell cycle arrest and initiation of apoptosis in response to DNA damage.